Most common cause for complication of blood transfusion is?
1. Human error
2. Anaphylaxis
3. GVHD
4. Presensitisation

Correct answer: 1. Human error

Explanation: Ans. is 'a' i.e., Human error The most common cause resulting in complications from blood transfusion is human error Acute hemolytic reaction resulting from ABO incompatibility is the most serious complication of blood transfusion.